Chromic catgut suture has an added advantage of:
1. Delayed resorption.
2. Early resorption.
3. No resorption.
4. Greater adherence

Correct answer: 1. Delayed resorption.